Atridox10% is:
1. 10mg Tetracycline
2. 10mg Minocycline
3. 10mg Doxycycline
4. 10mg Ciprofloxacin

Correct answer: 3. 10mg Doxycycline